HIV primarily replications in which cells -
1. CD4T-cells
2. CD8 T-cells
3. Neutrophils
4. Follicular dendritic cells

Correct answer: 1. CD4T-cells

Explanation: Ans. is 'a' i.e., CD4 T-cells * The receptor for the virus is the CD4 antigen on surface. The cells affected are :# CD4 T Cells (major target)# B lymphocytes# Monocytes and macrophages# Langerhans cells in dermis# Glial cells and microglia in the CNS# Follicular dendritic cells from tonsils can be infected by HIV without the involvement of CD4